A 30-year-old male present with urethritis. All of the following can be causative agent except:
1. N. gonorrhoeae
2. Chalmydia trachomatis
3. Trichomonas vaginalis
4. Hemophilus ducreyi

Correct answer: 4. Hemophilus ducreyi

Explanation: Ans. (d) Hemophilus ducreyi Causes of urethritis are: Neisseria gonorrhoea (MC) Chlamydia trachomatis Ureoplasma urealyticun Mycoplasma hominis Herpes virus Cytomegalovirus Gardenella vaginalis Acinetobacter woffi, Ac calcoaceticus Candida albicans Trichomonas vaginalis